Systemic fungal infections can be caused by the following -
1. Cryptococcus neoformans
2. Histoplasma capsulatum
3. Paracoccidioides brasiliensis
4. All

Correct answer: 4. All

Explanation: Ans. is 'a' i.e., Cryptococcus neoformans; 'b' Histoplasma capsulatum; 'c' Paracoccidioides bresilensis